Dilutional hyponatremia is seen in ?
1. Addison's disease
2. Vincristine
3. Diuretic therapy
4. Craniphyrangioma

Correct answer: 2. Vincristine

Explanation: Answer- B. VincristineAcute kidney injury (AKI) (ARF)CirrhosisNephrotic syndromeCardiac failureAnti cancer drugs